Pulse Polio immunization was introduced in -
1. 1995
2. 2000
3. 1999
4. 2001

Correct answer: 1. 1995

Explanation: Government of India conducted the first round of PPI consisting of two immunization days 6 weeks apart on 9th December 1995 and 20th January 1996. Ref:PARK'S TEXTBOOK OF PREVENTIVE AND SOCIAL MEDICINE 23rd edition , Page 209